Chandler's Index is for which of the following?
1. Round worm
2. Hook worm
3. Pin worm
4. Guinea worm

Correct answer: 2. Hook worm

Explanation: Ans. b (Hookworm) (Ref. Park Textbook of PSM 22nd/pg.222)CHANDLER INDEX# It is based on average number of hookworm eggs per gram of faeces for entire community.# Average number of eggs per gram of stools.No. of Eggs per Gram of FaecesImportanceBelow 200Hookworm infection is not of much significance200-250May be regarded as potential danger250-300Minor public health problemAbove 300Important public health problem